Drug not to be given in ischemic heart disease is:
1. Atenolol
2. ACE inhibitor
3. Isoproterenol
4. Streptokinase

Correct answer: 3. Isoproterenol

Explanation: Ans. (C) Isoproterenol(Ref: KDT 8/e p585)Isoproterenol is a b adrenergic agonist and is C/I in IHD as it can increase myocardial oxygen demand by causing tachycardia.